A 30 years old male from a rural background presents to the ophthalmology clinic with history of difficulty in vision for 10 days. He gives history of vegetative material falling into the left eye about 15 days back. On examination an ulcerative lesion in the cornea with feathery margins and creamy exudates is seen. Few satellite lesions were also noted. The most likely diagnosis etiologic agent is:
1. Corynebacterium diphtheria
2. Fusarium sp.
3. Acanthomoeba sp.
4. Streptococcus pneumonia

Correct answer: 2. Fusarium sp.

Explanation: B i.e. Fusarium sp.